Agent which on addition to a colony inhibits its growth and on removal the colony regrows is
1. Bacteriostatic
2. Bactericidal
3. Antibiotic
4. Antiseptic

Correct answer: 1. Bacteriostatic

Explanation: Ans. is 'a' i.e., Bacteriostatic Bacteriostatic . Agent is able to inhibit bacterial multiplication. . Multiplication resumes upon removal of agent. Bactericidal . Agent is able to kill the bacteria. . Action is irreversible ie, the killed organism can no longer reproduce, even after being removed from contact with the agent.